Heart is not sensitized by –
1. Halothane
2. Chloroform
3. Diethyl–ether
4. None

Correct answer: 3. Diethyl–ether

Explanation: Sensitization of heart to adrenaline is caused by Halothane, chloroform, cyclopropane, trilene.